Successful treatment of a Zenker diverticulum involves?
1. Diverticulopexy
2. Resection of the diverticulum
3. Either diverticulopexy or resection with cricopharyngeal myotomy
4. Observation

Correct answer: 3. Either diverticulopexy or resection with cricopharyngeal myotomy

Explanation: Treatment of Choice -Cricopharyngeal Myotomy + Diverticuloplexy (most common among elderly, diabetics for which Diverticuloplexy is a safer procedure) Other alternative procedures: - -Diverticulectomy (for larger diverticula's > 4cm) - Diverticulo-esophagostomy (aka Dohlman procedure) -performed endoscopically.